Saddle embolus causes sudden death by blocking
1. Coronary arteries
2. Cerebral arteries
3. Pulmonary arteries
4. Renal arteries

Correct answer: 3. Pulmonary arteries